All have antioxidant property except ?
1. Catalase
2. Glutathione peroxidase
3. Phosphorylase
4. Superoxide dismutase

Correct answer: 3. Phosphorylase

Explanation: Ans. is 'c' i.e., Phosphorylase There are two types of antioxidant systems :? 1. Enzymatic antioxidant system This include Catalase Superoxide dismutase (SOD) Glutathione peroxidase 2. Non-enzymatic antioxidant system This is further subdivided into Vitamins : Vitamin E, Vitamin A & beta carotene, Vitamin C. Minerals : Selenium, Copper, Zinc, Manganese Tissue proteins : Transferrin, ferritin, lactoferrin, ceruloplasmin Amino acids : Glutathione, Cysteine